Posterior staphyloma is associated with
1. Pathological myopia
2. Uveoscleritis
3. Pseudocornea
4. Angle closure glaucoma

Correct answer: 1. Pathological myopia

Explanation: Posterior staphyloma is a condition that can be present in highly myopic individuals with long axial lengths. It is caused by elongation of the globe due to thinning and bulging of the sclera and results in an irregular configuration of the retina at the posterior pole. ref img